False about Patey's Mastectomy.
1. Also known as MRM
2. Intercostobranchial nerves are preserved
3. Axillary all nodes are removed
4. Pectoralis muscle is divided or retracted

Correct answer: 2. Intercostobranchial nerves are preserved

Explanation: Ans. (b) Intercosto branchial nerves are preserved (Ref Bailey and Love 27th edition Page 877)Patey's mastectomy:* Remove:# Whole breast# Including nipple, areola# All fat, fascia and 3 level Lymphnodes# Pectoralis minor divided or retracted (Actually Patey will remove)* Preserve:# Axillary vessels# Bell's nerve# Nerve to LatissimusInter costobranchial nerves usually divided during surgery